A diabetic patient developed cellulitis due to S.aureus, which was found to be methicillin re-
sistant on the antibiotic sensitivity testing. All the following antibiotics will be appropriate except:
1. Vancomycin
2. Imipenem
3. Teichoplanin
4. Linezolid

Correct answer: 2. Imipenem

Explanation: “Imipenam is not effective against Enterococcus faecium, MRSA, Clostridium difficle, Burkholderia cepacia as they produce metallobetalactmases"
TREATMENT OF MRSA